What disappears first in post mortem rigidity-
1. Eyelids
2. Neck
3. Lower limbs
4. Upper limbs

Correct answer: 1. Eyelids

Explanation: Ans. is 'a' i.e. Eyelids Post mortem rigidity generally passes off in the same order in which it occurred.Sequence in which Rigor mortis or post mortem rigidity affects the musclesFirst involuntary muscles, then voluntary musclesFirst involuntary muscle is the heart*Sequence in voluntary muscles*Muscles of eye-lids*Muscles of face*, neck and trunkMuscles of upper extremityMuscles of lower extremityLast to be affected are small muscles of the fingers and toes*.